Trochlear nerve supplies
1. Superior oblique
2. Inferior oblique
3. Lateral rectus
4. Inferior rectus

Correct answer: 1. Superior oblique

Explanation: A. i.e. (Superior oblique) (115-BDC-3 4th)* Trochlear nerve - is very long and slender nerve supplies only the superior oblique muscle of the eye ball* Abducent - is a small motor nerve supplies the lateral rectus muscle**